True about achalasia cardio, all except:
1. elevated resting LES tone
2. increased baseline intraesophageal pressure
3. increased primary peristaltic waves in the esophagus
4. pre malignant

Correct answer: 3. increased primary peristaltic waves in the esophagus

Explanation: Manometry is the most confirmatory investigation for achalasia




Manometric characteristics of Achlasia

Incomplete lower esophageal sphincter relaxation (< 75% relaxation)
Elevated LES pressure
Loss of primary peristaltic waves in the esophageal body, but disorganized muscular activity may be present.
Increased intraesophageal baseline pressure relative to gastric baseline.
About option 'd'
Increased risk of esophageal cancer —
Patients with achalasia are generally thought to be at increased risk of developing esophageal cancer, which is typically squamous cell type, although studies have also shown an increased risk of esophageal adenocarcinoma. (but some studies have shown no increased risk.)
The risk is not high enough to advice routine endoscopy in achalasia patients. A guideline issued by the American Society of Gastrointestinal Endoscopy suggests that there are insufficient data to support routine endoscopic surveillance for patients with achalasia. If surveillance were to be considered, it would be reasonable to initiate it 15 years after the onset of symptoms